Weber ferguson approach is used for?
1. Mastoidectomy
2. Maxillectomy
3. Myringoplasty
4. Mandibulectomy

Correct answer: 2. Maxillectomy

Explanation: ANSWER: (B) MaxillectomyREF: Atlas of head & neck surgery - otolaryngology 2nd edition by Byron J. Bailey page 26WEBER FERGUSON APPROACH:This approach involves an extension of the lateral rhinotomy incision that includes the splitting of upperlip.Indications: Exenteration of maxilla for total or subtotal maxillectomy (splitting the upper lip releases the facial flap for adequate lateral retraction and adds transoral exposure of palate and teeth)